Kruti, 56 years old, complained of pain in abdomen, with USG showing 4 cm bilateral ovarian mass with increased vascularity. Next line of managements:
1. USG guided ovarian tapping
2. Wait and watch
3. Surgery
4. OC pills x three cycles

Correct answer: 3. Surgery

Explanation: Ans. is c, i.e. SurgeryRef: Novak 14th/ed, p472Any ovarian mass with signs of malignancy (B/L and increased vascularity) require surgery irrespective of the size.The exact nature and extent of surgery is only decided intraoperatively, depending upon the frozen section (pathology) report.